A 30 years female has lowr serum calcium and phosphate with elevated parathoramone. Diagnosis is -
1. Vitamin D deficiency
2. Primary hyperparathyroidism
3. Osteoporosis
4. Paget's diseases

Correct answer: 1. Vitamin D deficiency

Explanation: Ans. is 'a' i.e., Vitamin D deficiency o Vitamine D deficiency will have: -Low calciumLow phosphateHigh alkaline phosphataseHigh parathormone level (secondary hyperparathyroidism)About other optionso In primary hyperparathyroidism : -High calciumLow phosphateHigh alkaline phosphataseHigh parathormone levelo In osteoporosis all these parameters are normal.o In Paget's disease calcium and phosphate levels are normal. Serum alkaline phosphatase is raised.